Disease of dermoepidermal junction is:
1. Staphylococcal scalded skin syndrome
2. Pemphigus vulgaris
3. Bullous pemphigoid
4. Atopic dermatitis

Correct answer: 3. Bullous pemphigoid

Explanation: BPAg 1 and 2 involved in Bullous pemphigoid are present in dermoepidermal junction. Diseases of DEJ: Bullous Pemphigoid Dermatitis Herpetiformis Linear IgA disease Epidermolysis bullosa dystrophica.